Cancers associated with excess fat intake are/is ?
1. Breast
2. Colon
3. Prostate
4. All

Correct answer: 4. All

Explanation: Answer is 'a' i.e. Breast; 'b' i.e. Colon; 'c' i.e. prostate